Uncompensated metabolic acidosis shows
1. Increased pH with increased HCO3-
2. Increased pH with decreased HCO3-
3. Decreased pH with increased HCO3-
4. Decreased pH with Decreased HCO3-

Correct answer: 4. Decreased pH with Decreased HCO3-

Explanation: Metabolic acidosis is a disorder that occurs when the body produces excessive amounts of acid, such as ketoacids or lactic acid; the kidneys are unable to remove enough acid produced from normal metabolism; or the body loses too much bicarbonate ion (HCO - Ref: guyton and hall textbook of medical physiology 12 edition